All are true in degloving injury except
1. Can happen in rollover injury caused by a motor vehicle
2. All the non bleeding skin should be excised
3. Examination under anesthesia is required
4. Injury is less extensive than it actually appear

Correct answer: 4. Injury is less extensive than it actually appear

Explanation: A closed degloving may be a rollover injury, typically caused by a motor vehicle over a limb. Such an injury will extend far further than expected, and much of the limb skin may be non-viable. Examination under anaesthetic is required with a radical excision of all non-bleeding skin Bailey and Love 27e pg: 28